You have been directed by a class - I judicial magistrate to provide "Compos mentis". "Compos mentis" is associated with which of the following?
1. Exhumation of a buried body
2. Dowry death
3. Dying declaration
4. Death in police custody

Correct answer: 3. Dying declaration

Explanation: A judicial magistrate is the optimal person to record a dying declaration, but before recording the statement the doctor should certify that the person is conscious and his mental faculties are normal. This is called "compos mentis". Also know S.32 IEA deals with dying declaration Ref: Textbook of Forensic Medicine and Toxicology by Narayan Reddy, Edition 21, Page - 9.